Which of the following is not a primary prevention strategy?
1. Breast self exam
2. Control of tobacco
3. Radiation protection
4. Cancer education

Correct answer: 1. Breast self exam

Explanation: ANSWER: (A) Breast self examREF: Park 20th edition page 38, 334Indirect repeat from December 2009"Breast self examination is for early detection of breast cancer and its treatment as early as possible and hence it is a secondary prevention"Cancer education is a primordial prevention which is a type of primary prevention as per parkBefore emergence of risk factorsBefore disease onsetAfter disease onsetOngoingdisabilityDisabilityPrimordialpreventionPrimarypreventionSecondarypreventionTertiarypreventionTertiarypreventionIndividual & mass educationHealth promotion & Specific protectionEarly diagnosis (screening) and treatmentDisabilitylimitationRehabilitation